Double Monster, fused in pelvic region is called :
1. Ischiopagus
2. Thoracopagus
3. Syncephalu
4. None of these

Correct answer: 1. Ischiopagus

Explanation: Ischiopagus